Cottage Loaf sign in Chest x-ray is seen in
1. TGA
2. TAPVC
3. ASD
4. VSD

Correct answer: 2. TAPVC

Explanation: Snowman or Figure of 8 or Cottage Loaf sign is seen in TAPVC.